Mala-N oral contraceptive pill differs from Mala-D, in terms of:-
1. Norgestrol dosage
2. Oestradiol dosage
3. Sold under social marketing scheme
4. Supplied free of cost

Correct answer: 4. Supplied free of cost

Explanation: Mala-N Mala-D Type of contraceptive Combined OCP Combined OCP Estrogen Ethinyl estradiol Ethinyl estradiol Progesterone Norgestrel Desogestrel Status in RCH Provide free of cost Provided at a subsidized cost (Rs. 3/ per packet)